Shock lung is seen in?
1. Bronchiectasis
2. Lung carcinoma
3. ARDS
4. COPD

Correct answer: 3. ARDS

Explanation: Ans is 'c' i.e., ARDS o ARDS is also known as 'adult' respiratory distress syndrome, shock lung, diffuse alveolar damage or acute lung injury. It is characterized by diffuse damage to alveolar capillary walls and alveolar cells (diffuse alveolar necrosis).o Sepsis is the most common cause of ARDS.